The most important factor for maintaining arches of the foot is
1. Shapes of bones
2. Ligaments of plantar aponeurosis
3. Tendons of muscles
4. Intertarsal joints

Correct answer: 2. Ligaments of plantar aponeurosis

Explanation: Factors in maintaining arches of foot are1 The shape of the bones concerned.2 intersegmental ties/staples or ligaments (and muscles) that hold the different segments of the arch together.3 Tie beams or bowstrings that connect the two ends of the arch.4 Slings that keep the summit of the arch pulled up.5 Suspension"The longitudinal arches are prevented from flattening by the plantar aponeurosis, and by the muscles of the first layer of the sole."Ref: Vishram Singh; Volume II; 2nd edition